Because of positive biopsy findings and negative workup, he undergoes a radical prostatectomy. The pathology report reveals Gleason score 9/10 and involvement of several pelvic lymph nodes. Which is the most likely site for prostatic cancer metastasis?
1. Liver
2. Kidney
3. Lung
4. Bone

Correct answer: 4. Bone

Explanation: Bone metastasis is a characteristic feature of prostatic cancer. The lesions are typically osteoblastic on x-ray, and the serum acid phosphatase level becomes elevated.